Pseudotumor Cerebri in Infants is seen with?
1. Tetracyclines
2. Aminoglycosides
3. NSAIDS
4. Macrolides

Correct answer: 1. Tetracyclines

Explanation: Tetracyclines S/E: Pseudotumor Cerebri in Infants as theyincrease Intracranial pressure in young infants even at therapeutic doses. Depress bone growth in premature Infants. Among the more severe allergic responses are Angioedema , Anaphylaxis , Anaphylactoid reactions can occur even after oral use. Other Hypersensitivity reactions are burning of the eyes, cheilosis, atrophic or hypertrophic glossitis, pruritus ani or vulvae, and vaginitis. Children treated with a Tetracycline or Glycylcycline may develop permanent brown discoloration of the teeth. Demeclocycline, Doxycycline, and other Tetracyclines and, to a lesser extent Glycylcyclines may produce Photosensitivity reactions in treated individuals exposed to sunlight. All Tetracyclines can produce GI irritation, most commonly after oral administration. Epigastric burning and distress, abdominal discomfort, nausea, vomiting, and diarrhea may occur.